Caisson’s disease is
1. Gas embolism
2. Fat embolism
3. Amniotic fluid embolism
4. Tumor embolism

Correct answer: 1. Gas embolism

Explanation: Sudden decompression of the diver after excess exposure to high pressure: Decompression sickness (synonyms: Bends, Compressed Air Sickness, Caisson Disease, Diver’s Paralysis, Dysbarism):

Nitrogen bubbles can develop in the body fluids and can cause minor or serious damage in almost any area of the body (because nitrogen is not metabolized by the body).
Gas bubbles blocking many blood vessels in different tissues cause the symptoms of decompression sickness.
Most common symptoms (85-90%): Pain in the joints and muscles of the legs and arms. The joint pain accounts for the term "bends".
Nervous system symptoms (5-10%): Dizziness, paralysis or collapse and unconsciousness.
The chokes (2%): Massive numbers of microbubbles plugging the capillaries of the lungs leading to shortness of breath, often followed by severe pulmonary edema and, occasionally death.